A 34 year old man diagnosed of having H. pylori infection after biopsy. Where can H. pylori be found in the stomach?
1. Epithelial lining
2. Mucous layer
3. Lamina propria
4. Local toxins

Correct answer: 2. Mucous layer

Explanation: H. pylori is a noninvasive organism that colonizes the mucous layeroverlying gastric epithelium. Factors important in the organism's ability to colonize the stomach include its flagellae, which facilitate its locomotion; its ability to adhere to the mucous layer; and its production of urease.